Child with primary amenorrhea with negative progesterone challenge test but positive combined estrogen and progesterone test. Diagnosis may be:
1. Mullerian agenesis
2. PCOD
3. Asherman syndrome
4. Prolactinoma

Correct answer: 4. Prolactinoma

Explanation: Positive combined estrogen and progesterone test means there is no sufficient estrogen for priming the endometrium so the pathology may lies in the hypothalamo-Pituitary-Ovarian axis Causes: Ovarian: Gonadal Dysgenesis, Premature Ovarian Failure, Resistant ovary syndrome , Autoimmune causes and Chemoradiation Pituitary: Pituitary Adenomas, Empty Sella Syndrome, Sheehans Syndrome, Infiltrative Pituitary Lesions Hypothalamic: Eating disorders , Congenital GnRH Deficiency [ Kallmann's Syndrome, GnRH Receptor Mutation Reference: Clinical Endocinologic Gynecology and infertility; Eigth Edition, Chapter 11